The following are congenital causes of hypercoagulable states,except:
1. Protein C deficiency
2. Protein S deficiency
3. MTHFR mutation
4. Lupus anticoagulant

Correct answer: 4. Lupus anticoagulant

Explanation: . Lupus anticoagulant